Least diffusible ion among following ?
1. Na'
2. K+
3. Cl-
4. Urea

Correct answer: 1. Na'

Explanation: Ans. is'a'i.e., Na+Permeability coefficient & permeability of some important molecules in increasing order of frequency are Na+< K+< Cl- < Glucose < Tryptophan < Urea = Glycerol< Indole < H2O.